Posthumous child means:
1. A child born after death of his/her father
2. A child born after death of his/her mother
3. A child born after artificial insemination
4. A child born after full term

Correct answer: 1. A child born after death of his/her father

Explanation: Ans. A i.e. A child born after death of his/ her father